A patient is receiveing insulin and acarbose for diabetes mellitus and developed hypoglycemia. Which of the following should be used for treatment of hypoglycemia in this patient
1. Sucrose
2. Galactose
3. Glucose
4. Starch

Correct answer: 3. Glucose

Explanation: Refer Katzung 11/e p 743 Complex carbohydrates are absorbed after conversion bro simple carbohydrates by alpha -glucosidase Inhibitors of this enzyme decrease carbohydrate absorption from the GIT Although these drugs themselves do not cause by hypoglycemia but blood sugars B-Day decrease big these are combined with insulin